Which type of pelvis is favorable for Face to pubis delivery?
1. Gynecoid
2. Android
3. Anthropoid
4. Platypelloid

Correct answer: 3. Anthropoid

Explanation: Ans. is 'c' i.e., Anthropoid Important educational points* Normal female pelvis - Gynaecoid pelvis* Male type pelvis - Android pelvis.* Most common type of pelvis - Gynaecoid pelvis.* Least common type pelvis - Platypelloid pelvis.* The only pelvis with AP diameter more than transverse diameter - Anthropoid pelvis.* Face to pubes delivery is most common in Anthropoid pelvis.* Direct occipito posterior position is most common Anthropoid pelvis.* Persistantoccipito posterior position is most common in Android pelvis.* Deep transverse arrest/ Non Rotation / Dystocia is most common in Android pelvis.* Broad flat pelvis - Platypelloid pelvis.